GLUT 3 transporter is located in
1. Placenta
2. Small intestine
3. Liver
4. Heart

Correct answer: 1. Placenta

Explanation: Major Glucose TransportersTissue LocationFunctionsGLUT 1Brain, kidney, colon, placenta, erythrocytesGlucose uptakeGLUT 2Liver, pancreatic b cell, small intestine, kidneyRapid uptake or release of glucoseGLUT 3Brain, kidney, placentaGlucose uptakeGLUT 4Heart and skeletal muscle, adipose tissueInsulin-stimulated glucose uptakeGLUT 5Small intestineAbsorption of fructoseSGLT 1 Small intestine and kidneyActive uptake of glucose against a concentration gradientRef: Harper's Biochemistry; 30th edition; Page no: 191; Table 19-2